Most common cause of peripheral precocious puberty in males?
1. Congenital adrenal hyperplasia
2. Constitutional
3. Klinefilter's syndrome
4. CNS pathology

Correct answer: 1. Congenital adrenal hyperplasia

Explanation: Most common cause of peripheral precocious puberty in males-Congenital adrenal hyperplasia Precocious puberty- onset of puberty <8 years (girls), <9 years (boys) MC cause of central precocious puberty boys - CNS pathology (hypothalamic hemartoma) girls - idiopathic MC cause of peripheral precocious puberty boys - CAH girls - ovarian causes MC cause of delayed puberty both in boys & girls- constitutional growth delay